Petit's ligament is located at:
1. Neck
2. Upper limb
3. Lower limb
4. Pelvis

Correct answer: 4. Pelvis

Explanation: Ans. D. PelvisSOME SPECIFIC NAMED LIGAMENTS IN THE BODY:Weitbrecht's ligamentThe oblique cord connecting the ulna and the radiusPoupart's ligamentInguinal ligamentPetits ligamentThickened portion of Pelvic fascia between the cervix and vagina. Passes posteriorly in the recto-Uterine fold to attach to the Ant. surface of sacrumGimbernat's ligamentLacunar ligament which forms the medial portion of the femoral ringMackenrodt's ligamentTransverse cervical ligament-important support of the uterusLisfranc's ligamentLigament joining the cuneiform bone of ankle to the 2nd metatarsal.Henle's ligamentThe conjoined tendon of the transverses abdominis muscleLockwood's ligamentSuspensory ligament of the eyeball